The magnitude of completed family size can be obtained from
1. Pregnancy rate
2. General marital fertility rate
3. Gross reproductive rate
4. Total fertility rate

Correct answer: 4. Total fertility rate

Explanation: Total fertility rate represents the average number of children a woman would have if she were to pass through her reproductive years bearing children at the same rate as the women now in each age group.This measure gives an approximate magnitude of 'completed family size'(Ref:- Park. 23rd ed. Page no 489)